All of the following has HLAB27 associated with uveitis except ?
1. Ankylosing spondylitis
2. Reiters syndrome
3. Behcets syndrome
4. None of the above

Correct answer: 3. Behcets syndrome

Explanation: Ans. is 'c' i.e., Behcets syndrome A few examples of HLA-associated diseases with uveitis are as follows : i) HLA-B27 : Acute anterior uveitis associated with ankylosing spondylitis and also in Reiter's syndrome. ii) HLA-B5 : Uveitis in Behcet's disease. iii) HLA-DR4 and DW15 : Vogt Koyanagi Harada's disease.